Subdural hematoma most commonly results from:
1. Rupture of intracranial aneurysm
2. Rupture of cerebral AVM
3. Injury to cortical bridging veins
4. Haemophilia

Correct answer: 3. Injury to cortical bridging veins

Explanation: Ans. Injury to cortical bridging veins